The HLA important in IDDM is -.
1. HLA-A3
2. HLA-B27
3. HLA-DR3/DR4
4. HLA-W1

Correct answer: 3. HLA-DR3/DR4

Explanation: 95% of IDDM (Type I Diabetes Mellitus) patients express either HLA DR3 or HLA DR4 or the heterozygous DR3 / DR4 configuration. 
No HLA association is seen with Type II Diabetes mellitus or NIDDM.